Impurities in casting is removed by:
1. Annealing
2. Degassing
3. Pickling
4. Conditioning

Correct answer: 3. Pickling